A 10 year old male patient complains of spacing  between upper front teeth. Intraoral findings are excessive overjet, retroclined mandibular incisors, generalised spacing between maxillary anterior teeth. These features are seen in patients with :
1. Thumb sucking
2. Mouth breathing
3. Tongue thrusting
4. Class II malocclusion

Correct answer: 1. Thumb sucking

Explanation: In some children with a prolonged finger-sucking habit, the lower incisors are retroclined, however, proclination of the lower incisors has been frequently observed. In the group with retroclined lower incisors, the angle between the thumb and the lower incisors was significantly smaller and the thickness of the lower lip significantly thinner than in the group with proclined incisors. A higher frequency of early loss of deciduous molars was also observed in the group with retroclined incisors. The tightness of the lower lip, early loss of deciduous molars and the angle between the teeth and the thumb are factors, which have been identified to influence the inclination of the lower incisors in persistent digit suckers.